U-slab is given for fracture of -
1. Femur
2. Radius
3. Tibia
4. Humerus

Correct answer: 4. Humerus

Explanation: Traction by gravity - This applies only to upper limb injuries. Thus, with a wrist sling the weight of the arm provides continuous traction to the humerus. For comfort and stability, especially with a transverse fracture, a U-SLAB of plaster may be bandaged on. REF:Apley's system of orthopaedics- 9th edn- pg no 697 .